ASD which is common -
1. Patent foramen ovale
2. Ostiumprimum
3. Ostiumsecondum
4. Sinusvenosus

Correct answer: 3. Ostiumsecondum

Explanation: Ans. is 'c' i,e., Ostium secondum o ASD can occur in any portion of atrial septum -SecundumPrimumSinus venosusAbsent atrial septum (leads to single atrium)o Ostium secondum defectDefect in region of fossa ovalisMost common form of ASD